Cells charcteristic of Hodgkin's disease are-
1. Lacunar cells
2. Reed - Sternberg cells
3. Giantcells
4. Eosiphils

Correct answer: 2. Reed - Sternberg cells

Explanation: The classical diagnostic  feature of Hodgkin's disease is the presence of Reed -Sternberg cell.Classic RS cell is characterised by
bilobed nucleus appearing as mirror image of each other, each nucleus contains a prominent , eosinophilic, inclusion like nucleolus with a clear halo around it,
giving it an owleye appearance .